A 7-days-old neonate present with recurrent seizures. On examination, tachycardia and S3 gallop, bruit in anterior fontanelle. Blood investigations are normal. Neurosonogram shows a hypoechoic lesion. What is the diagnosis?
1. Arachoid cyst
2. Vein of Galen malformation
3. Dilated ventricles
4. Intraventricular hemorrhage

Correct answer: 2. Vein of Galen malformation

Explanation: b. Vein of Galen malformation(Ref: Nelson's 20/e p 1193)Newborn presenting with features of heart failure and cranial bruit with a hypoechoic lesion seen on cranial ultrasound suggests Vein of Galen malformationVein of Galen malformation is an arteriovenous connection between primitive choroidal vessels & median prosencephalic vein of Markowski, that develops between 6th & 11th weeks of gestation, after development of circle of Willis.